Otic ganglia are related to
1. 9th nerve
2. 10th nerve
3. 8th nerve
4. 7th nerve

Correct answer: 1. 9th nerve

Explanation: Otic ganglion is a peripheral parasympathetic ganglion which relays secretomotor fibres to the parotid gland. Topographically, it is intimately related to the mandibular nerve, but functionally it is a part of the glossopharyngeal nerve. The motor or parasympathetic root is formed by the lesser petrosal nerve. The preganglionic fibres are derived from the inferior salivary nucleus - the ninth nerve, its tympanic branch, the tympanic plexus -the lesser petrosal nerve to reach the ganglion. The postganglionic or secretomotor fibres pass through the auriculotemporal nerve to the parotid gland. The sympathetic root is derived from the plexus on the middle meningeal artery. The sensory root comes from the auriculotemporal nerve and is sensory to the parotid gland. Ref: BD Chaurasia's HUMAN ANATOMY, Volume 3, 6th edition 127,311